According to Fick's law of diffusion, particle flux will decrease if there is an increase in the:
1. Particle's concentration difference across the membrane
2. Thickness of the Membrane
3. Area of the membrane
4. Temperature of the solution

Correct answer: 2. Thickness of the Membrane

Explanation: According to Fick's law of diffusion, particle flux is inversely proportional to the thickness of the membrane and directly proportional to the area of the membrane, the concentration difference across the membrane, and the diffusion coefficient. The diffusion coefficient depends on the physical properties of the particle and the membrane through which it is diffusing. In general, the larger the diameter of the particle, the slower the rate of diffusion. Increasing temperature will increase the rate of diffusion. Ref: Katzung B.G. (2012). Chapter 1. Introduction. In B.G. Katzung, S.B. Masters, A.J. Trevor (Eds), Basic & Clinical Pharmacology, 12e.